Which is not a feature of nicotine withdrawal?
1. Depression
2. Headache
3. Tachycardia
4. Anxiety

Correct answer: 3. Tachycardia

Explanation: Bradycardia is a symptom of nicotine withdrawal and not tachycardia. Nicotine : Effects of use Effects of withdrawal Increased alertness and attention span Lethargy,Fatigue Agitation and insomnia Depression Mild improvement in mood Mild depression of mood Decreased appetite Increased appetite with slight weight gain Increased blood pressure and heart rate(tachycardia) Bradycardia Increased gastrointestinal activity Headache